Muriform cells are seen in
1. Phaeohyphomycosis
2. Chromoblastomycosis
3. Rhinosporidiosis
4. Sporotrichosis

Correct answer: 2. Chromoblastomycosis

Explanation: Muriform cells also called medlar bodies, sclerotic bodies are seen in chromoblastomycosis.